Advantages of complete veneer crown include all of the above except:
1. Most effective retention and resistance.
2. Alteration in tooth form and occlusion possible.
3. Margins are close to gingiva.
4. None of the above

Correct answer: 3. Margins are close to gingiva.

Explanation: Advantages of complete veneer crown

Most eﬀective retention and resistance.
Alteration in tooth form and occlusion possible.

Disadvantages of complete veneer crown

Extensive tooth preparation.
Margins are close to gingiva and need meticulous maintenance.